Non immune hemolytic anemia occurs in -
1. SLE
2. P. vivax infection
3. CLL
4. CML

Correct answer: 2. P. vivax infection

Explanation: Ans. is 'b' i.e., P. vivax infection Non-Immune hemolytic anemia In non-immune hemolytic anemia, hemolysis occurs without formation of antibodies against RBCs. o Comb's test is negative, therefore it is also known as Coomb's negative hemolytic anemia. o Causes are : - ID Drugs --> Ribavarin Toxins --> Snake venum, plant poisons such as aesculin. Mechanical trauma to RBCs --> prosthetic heart valve, thrombosis in microcirculation. Microangiopathic hemolytic anemia : ? Thrombotic thromhocytopenia purpura (TTP), Hemolytic uremic syndrome (HUS), D1C, HELLP syndrome. Infections : - Babesiosis, Malaria, Clostridiun perfringens sepsis. Hereditory spherocytosis, Thalassemia, SCA, Paroxysmal nocturnal hemoglobinuria, Liver disease.